What are gitter cells -
1. Astrocytes
2. Macroglia
3. Modified macrophages in CNS
4. Oligodendrocytes

Correct answer: 3. Modified macrophages in CNS